Which of the following has malignant potential:
1. HSV -1
2. EBV
3. CMV
4. Varicella

Correct answer: 2. EBV

Explanation: Ans. (b) EBV Ref. jawetz 25/e, p 592, 27/e, p 620 Already explained, refer Ans. 46